Gluteofemoral bursa is in between gluteus m4rimus and -
1. Greater trochanter
2. Lesser trochanter
3. Ischial tuberosity
4. Vastus lateralis

Correct answer: 4. Vastus lateralis

Explanation: Ans.'d' i.e., Vastus lateralisIschial bursa: On lower and medial part of ischial tuberosity (between gluteus maximus and ischial tuberosity).Trochanteric bursa: On the greater trochanter (between gluteus maximus and greater trochanter).Gluteofemoral bursa: Between gluteus maximus and vastus lateralis.Iliopsoas bursa Between hip joint capsule and iliopsoas tendon.